Insulin Dependent glucose transport is through -
1. GLUT-2
2. GLUT-4
3. GLUT-5
4. SGLT-1

Correct answer: 2. GLUT-4

Explanation: Ans. is 'b' i.e., GLUT-4 Major Glucose Transporters Tissue location Functions Facilitative bidirectional transporters GLUT 1 Brain, Kidney, colon, placenta, erythrocytes Glucose uptake GLUT 2 Liver, pancreatic b cell, small intestine, kidney Rapid uptake or release of glucose GLUT 3 Brain, kidney, placenta Glucose uptake GLUT 4 Heart and skeletal muscle, adipose tissue Insulin-stimulated glucose uptake GLUT 5 Small intestine Absorption of fructose Sodium-dependent unidirectional transporter SGLT 1 Small intestine and kidney Active uptake of glucose against a concentration gradient